Cherry red colours of mucous membranes are seen in which of the following poisons:
1. Carbon-monoxide
2. Carbon-dioxide
3. Hydrogen-sulphide
4. Chlorine

Correct answer: 1. Carbon-monoxide

Explanation: (Carbon - monoxide): Ref: 10.71 -PCARBON - MONOXIDE - is a colourless, odourless, non - irritant gas which cannot be perceived by the senses* The colour of skin, especially in areas of postmartem staining and in fair skinned persons. In bright cherry red if saturation is Co in blood exceeds about 30%.* Internally blood tissue and viscera are of a bright cherry red colour if there is more than 5 gms Co Hb/100 ml of blood